Mastoid reservoir phenomenon is positive in:
1. CSOM
2. Petrositis
3. Coalescent otitis media
4. Coalescent mastoiditis

Correct answer: 4. Coalescent mastoiditis

Explanation: Mastoid reservoir phenomenon is the latent infection in the mastoid resulting from inadequate treatment of ASOM. (Also called as masked /latent mastoiditis). It is a slow process of destruction of mastoid air cells without acute features.